Which drug is given in the pain due to diabetic neuropathy?
1. Lamotrigine
2. Na valproate
3. Gabapentin
4. Morphine

Correct answer: 3. Gabapentin

Explanation: Ans. is 'c' i.e., Gabapentin Gabapentin* This is lipophilic GABA derivatve.* Gabapentin enhances GABA release but itself does not act as a agonist at the GABAA receptor.* It crosses to the brain and enhances GABA release but does not act as agonist at GABAA receptor.* Gabapentin is considered to be a first line drug for pain due to diabetic neuropathy and postherpetic neuralgia.Usesi) GTCS and partial seizuresii) Postherpetic neuralgiaiii) Pain due to diabetic neuropathyiv) Prophalaxis of migraine